Voyeurism is?
1. Sexual gratification by watching the act of sexual intercourse
2. Use of such objects for sexual gratification
3. Sexual gratification is by self pain
4. Sexual gratification by rubbing private part

Correct answer: 1. Sexual gratification by watching the act of sexual intercourse

Explanation: Ans. is 'a' i.e., Sexual gratification by watching the act of sexual intercourse o Voyeurism (Scoptophilia, Peeping tom): Sexual gratification is obtained by looking at the sexual organs of other persons, watching the act of sexual intercourse, or witnessing undressing by a womano Fetichism- Fetish is an abnormal stimulus or object of sexual desire. Fetichism means use of such objects for sexual gratification.o Masochism- sexual gratification is obtained or increased by the suffering or pain on self.o Frotteurism: is contact with another person in order to obtain sexual gratification. Sexual gratification by rubbing private parts against a female body in crowd.